What is normal bispinous diameter of pelvis
1. 11.5 cm
2. 12.5 cm
3. 9.5 cm
4. 10.5 cm

Correct answer: 4. 10.5 cm

Explanation: Normal Bispinous/Interspinous diameter - 10.5 cm